All are major feature of AIDS except -
1. Fever > 1 month
2. Diarrhea > 1 month
3. Loss of> 10% of Body Wt.
4. Cough > 1 month

Correct answer: 4. Cough > 1 month

Explanation: Clinical features of primary infection in AIDS include fever,maculo papular rash,pharyngitis ,lymphadenopathy,myalgia,arthralgia,diarrhea ,headache,loss of weight,oral & genital ulceration,mwningo-encephalitis ,Bell's palsy. Cough for more than 1 month is a characteristic of tuberculosis . Reference: Harrison20th edition pg 778